A one day census of inpatients in a mental hospital could -
1. Give good information about the patients in that hospital at that time
2. Give reliable estimates of seasonal factors in admissions
3. Enable us to draw conclusions about the mental hospitals of India
4. Enable us to estimate the distribution of different diagnosis in mental illness in the local area

Correct answer: 1. Give good information about the patients in that hospital at that time

Explanation: Ans. is 'a' i.e., Give good information about the patients in that hospital at a time o A one day census of inpatient in a mental hospital means the examination is carried out at one point of time --> feature of cross-sectional study. o So, it will provide information about the patients in that hospital at that time. About other options o For estimation of seasonal factors in admission, we will require the study which can be extended to all seasons --> longitudinal study. o This study (study in question) cannot enable us to draw conclusions about the mental hospital of India because it is being done only in one hospital for only one day. o Because the study was done for only inpatient (not for OPD patients) it cannot estimate the distribution of different diagnosis in mental illness in the local area.